Enzyme deficiency in Natowicz syndrome is
1. Iduronate sulfatase
2. Hyaluronidase
3. b-Glucuronidase
4. Galactosamine 6-sulfatase

Correct answer: 2. Hyaluronidase

Explanation: Disease name Abbretion Enzyme Defective GaG(s) affected Symptoms Natowicz syndrome MPS IX Hyaluronidase Hyaluronic acid Joint pain, short stature Reference: Harper; 30th edition; Page no:639; Table: 50-8